Immunity that is conferred to the foetus by transfer of IgG and IgA antibodies is called as
1. Active acquired immunity
2. Passive acquired immunity
3. Natural active immunity
4. Passive natural immunity

Correct answer: 4. Passive natural immunity